Most common Glycogen storage disorder to be present in adolescents is?
1. Mc Ardle disease
2. Cori disease
3. Andersen disease
4. Von Gierke disease

Correct answer: 1. Mc Ardle disease

Explanation: Mc Ardle disease (Type V GSD) due to muscle phosphorylase deficiency is the most common GSD to present in adolescents & adults.